Tendon of which muscle passes through the pyramid in middle ear
1. Incus
2. Stapedius
3. Malleus
4. Tensor veli palatine

Correct answer: 2. Stapedius

Explanation: A conical projection called the pyramid lies near the junction of the posterior and medial walls of the middle ear. It has an opening at its apex for the passage of the tendon of the stapedius muscle